Alpha fetoprotein is raised in all except:
1. Teratocarcinoma
2. Down syndrome
3. Embryonal cell carcinoma
4. Hepatocellular carcinoma

Correct answer: 2. Down syndrome

Explanation: Ans. B: Down syndromeAFP is produced by hepatocellular carcinomas, yolk sac remnants in the gonads, and occasionally teratocarcinomas and embryonal cell carcinomas.